The structural protein are involved in maintaining the shape of a cell or in the formation of matrices in the body. The shape of these proteins is
1. Globular
2. Fibrous
3. Stretch of beads
4. Planar

Correct answer: 2. Fibrous

Explanation: Proteins responsible for maintaining the structural strength of cells (i.e. cytoskeleton) and tissues include collagens, keratin and myosin etc. These proteins are classified as fibrous proteins.